Ancylostoma enters the human body by-
1. Ingestion
2. Inhalation
3. Penetration of skin
4. Inoculation

Correct answer: 3. Penetration of skin

Explanation: Ancylostoma or hookworm enters by penetrating the skin When a person walks barefooted on soil containing the filariform larva of hookworm,they penetrate the skinand enter the sub cutaneous tissue. Common sites of entry are skin between toes,dorsum of foot and medial aspect of the sole. Ref: panikers textbook of Medical parasitology 8th edition page 188